Bipolar II disorder includes ?
1. Cyclothymic disorder
2. Dysthymia
3. Single maniac episode
4. Major depression and hypomania

Correct answer: 4. Major depression and hypomania

Explanation: Ans. D. Major depression and hypomaniaBipolar II: One or more major depressive episodes together with at least 1 hypomanic episode.